Narcolepsy is due to abnormality in ?
1. Hypothalamus
2. Neocortex
3. Cerebellum
4. Medulla oblongata

Correct answer: 1. Hypothalamus

Explanation: Ans. A. HypothalamusNarcolepsy is unique in that those who suffer from it tyPicaly fall almost instantaneously into REM sleep.It is thought that narcolepsy is caused by a malfunctioning of the hypothalamus in brain.